Nerve for adductor compartment of thigh ?
1. Femoral nerve
2. Obturator nerve
3. Superior gluteal nerve
4. Inferior gluteal nerve

Correct answer: 2. Obturator nerve

Explanation: Ans. B) Obturator nerveObturator nerve is the chief nerve of the medial (adductor) compartment of thigh.